Treatment of Puberphonia is ?
1. Thyroplasty type I
2. Thyroplasty type II
3. Thyroplasty type III
4. Thyroplasty type IV

Correct answer: 3. Thyroplasty type III

Explanation: Ans. is `c' i.e., Thyroplasty type III Puberphonia (Mutational falset to voice) In males at the time of puberty, the voice normally drops by an octave and becomes low pitch. It occurs because vocal cords lengthen. Failure of this change leads to persistence of childhood high pitched voice and is called as puberphonia. It is seen in boys who are emotionally insecure and show excessive attachment to their mothers. Their physical and sexual development is normal. So the surgical treatment of puberphonia is lengthening of vocal cord i. e. Thyroplasty type III THYROPLASTY Isshiki divided thyroplasty procedures into 4 categories to produce functional alteration of vocal cords : - Type 1: Medial displacement of vocal cord (done by injection of gel foam/Teflon paste) Type 2 : Lateral displacement of cord (done to improve the airway). Type 3 : Lengthening (relax) the cord, to lower the pitch (gender transformation from female to male). Type 4 : Shortening (tightening) the cord, to elevate the pitch (gender transformation from male to female), for example as a treatment of androphonia.